Drug of choice for treatment of Alzheimer's disease is:
1. Atropine
2. Donepezil
3. Physostigmine
4. Fluoxetine

Correct answer: 2. Donepezil

Explanation: (Ref: Katzung 14th ed. P 1063)DOC for Alzheimer's disease: Donepezil (reversible AchEsterase inhibitor)Other Ach Esterase inhibitor used in treatment of Alzheimer's disease is Gallantamine, Rivastigmine.